End point of D/C is -
1. After 2 strokes
2. Presence of fresh bleeding
3. Uterine cry
4. All of the above

Correct answer: 3. Uterine cry

Explanation: Ans. is 'c' i.e., Uterine cry * The curette should be inserted gently to the uterine fundus and withdrawn slightly. To decrease the risk of perforation, do not force the curette.* The end point of this scrubbing should be the detection of a scratching/grating sensation or sound (the "uterine cry"), which represents a sharp curet running over myometrium. Too vigorous a pursuit of this end point may lead to formation of synechiae (Asherman's syndrome).